All the following adverse effects can be caused by Loop Diuretics EXCEPT:
1. Hypercalcemia
2. Hyperglycemia
3. Hypomagnesemia
4. Hyperuricemia

Correct answer: 1. Hypercalcemia

Explanation: ANSWER: (A) HypercalcemiaREF: KDT 6th edition page 567"Loop diuretics on chronic use cause hypocalcaemia while thiazides cause hypercalcemia" Adverse effect specific to Loop Diuretics:Hearing lossHypocalcaemiaExcess use causes dehydration & fall in bp.Adverse effect specific to thiazide Diuretics:HypercalcemiaAdverse effects common to both loop 8i thiazide diuretics:HypokalemiaHypomagnesemiaHyperglycemiaHyperlipidemiaHyperuricemia